The nerve of the 6th arch is
1. Superior laryngeal nerve
2. Internal laryngeal nerve
3. External laryngeal nerve
4. Recurrent laryngeal nerve

Correct answer: 4. Recurrent laryngeal nerve

Explanation: Description Human embryology Inderbeir Singh tenth edition Page no 133Occipital somites: laryngeal muscles from 4th to 6th arches supplied by the recurrent laryngeal nerve.